When the HR is 72 beats per min, what would be the duration of cardiac cycle?
1. 445 ms
2. 1450 ms
3. 700 ms
4. 833 ms

Correct answer: 4. 833 ms

Explanation: Cardiac cycle: - 72 beats occur in - 60sec. 1 beat would occur in - 60/72 1 beat - 0.833 sec (~ 833 ms) (0.0139 minute per beat).